A man with chest pain, ST segment depression in lead v1 – v4, after one hour will not be, given –
1. Beta blocker
2. Thrombolytic
3. Morphine
4. Aspirin

Correct answer: 2. Thrombolytic